Which of the following antiarrhythmic drug is contraindicated in a patient with intersitial lung disease?
1. Amiodarone
2. Sotalol
3. Quinidine
4. Lignocaine

Correct answer: 1. Amiodarone

Explanation: Adverse effect ofamiodarone Pulmonary alveolitis and fibrosisis the most serious toxicity of prolonged use, but is infrequent if daily dose is kept below 200 mg. Other Adverse Effects The - hyper or hypo thyroidism Periphery of - peripheral neuropathy My - myocardial depression Lung & cornea is - corneal deposits Photosensitive - photosensitivity, Sotalol, Quinidine and Lignocaine does not cause interstitial lung disease